Function of endonucleases:
1. Cut DNA at specific DNA sequences
2. To point out the coding regions
3. Enhancers
4. To find out antibiotic resistance

Correct answer: 1. Cut DNA at specific DNA sequences

Explanation: Ans. A. Cut DNA at specific DNA sequences(Ref: Harper 31/e page433)Restriction endonuclease cut DNA at specific palindromic sites.These enzymes are isolated from bacteria.They restrict the entry of phages into the bacteria.